Secondary glaucoma in early stage of herpes zoster ephthalmicus occurs due to:
1. Trabeculitis
2. Iridocyclitis
3. Haemorrhagic hypopyon
4. Hypersecretion of aqueous humour

Correct answer: 1. Trabeculitis

Explanation: Ans. Trabeculitis